Catalyst used in condensation silicone:
1. Chloroplatinic acid.
2. Stannous octoate.
3. Lead dioxide.
4. Lead acetate.

Correct answer: 2. Stannous octoate.